What is drug of choice in dysentery due to shigella?
1. Doxycycline
2. Ciprofloxacin
3. Tetracycline
4. No antibiotic is recommended

Correct answer: 2. Ciprofloxacin

Explanation: The drug of choice for shigella is ciprofloxacin. Shigella is usually resistant to ampicillin and cotrimoxazole. Ref: Park 21st edition, page 204.